Thymus develops from
1. I Pharyngeal pouch
2. II Pharyngeal pouch
3. III Pharyngeal pouch
4. IV Pharyngeal pouch

Correct answer: 3. III Pharyngeal pouch

Explanation: Pharyngeal pouchDerivativesDorsal ends of I and II pouches form --Tubotympanic recessThe proximal part of tubotympanic recess gives rise to auditory tube.Distal part gives rise to tympanic cavity and mastoid antrum. Mastoid cellsdevelop at about 2 years of ageVentral part of II pharyngeal pouchEpithelium covering the palatine tonsil and tonsillar crypts, lymphoid tissueis mesodermal in originIII Pharyngeal pouchThymus and inferior parathyroid gland or parathyroid III.IV Pharyngeal pouchSuperior parathyroid or parathyroid IVV Pharyngeal pouch (ultimobranchial body)Parafollicular or 'C' cells of the thyroid glandRef: Chaurasia; Volume 3; 6th edition; Page no: 30